Hyperventilation can provoke the following
1. Tonic-clonic seizures
2. Simple partial seizures
3. Complex partial seizures
4. Absence seizures

Correct answer: 4. Absence seizures

Explanation: The electrophysiologic hallmark of typical absence seizures is a generalized, symmetric, 3-Hz spike-and-wave discharge that begins and ends suddenly, superimposed on a normal EEG background.In tonic-clonic seizures, The EEG during the tonic phase of the seizure shows a progressive increase in generalized low-voltage fast activity, followed by generalized high-amplitude, polyspike discharges. In the clonic phase, the high-amplitude activity is typically interrupted by slow waves to create a spike-and-wave pattern. The postictal EEG shows diffuse slowing that gradually recovers as the patient awakens.Hyperventilation tends to provoke these electrographic discharges and even the seizures themselves and is routinely used when recording the EEG.Ref: Harrison 19e 2543